Which of the following is antidote for beta-blocker poisoning?
1. Calcium gluconate
2. Glucagon
3. Sodium phosphate
4. Chloride salts

Correct answer: 2. Glucagon

Explanation: Calcium gluconate is antidote for potassium andRt for MGSO4 Glucagon is used for beta-blocker poisoning which neutralizes bradycardia, hypotension by stimulating cyclic AMP. Ref : KAtzung 12th ed.